Which of the following is not a Zoonosis -
1. Leptospirosis
2. Rabies
3. Hydatid disease
4. Amoebiasis

Correct answer: 4. Amoebiasis

Explanation: Ans. is 'd' i.e., AmoebiasisImportant zoonoses# Bacterial - Anthrax, Brucellosis, Ornithoses, Q-fever, Leptospirosis, TB, Plague, Tularemia, Salmonellosis.# Viral - Cowpox, Monkeypox, Easternequine, encephalitis, Ross river fever, Yellow fever, Japanese encephalitis, Lassa fever, Rabies.# Protozoal - Leishmaniasis, Toxoplasmosis, Trypanosomiasis, Babesiosis.# Helminthic - Clonorchiasis, Fasciolopsis, Schistosomiasis, Echinococus (hydatid disease), Taeniasis, Trichinellosis.